Best Investigation to assess tubal patency :
1. Rubin's test
2. HSG
3. Laparotomy
4. Laparoscopic chromtubation

Correct answer: 4. Laparoscopic chromtubation

Explanation: Ans. is d i.e. Laparoscopic chromotubation The Gold standard / Best Investigation to assess tubal patency is Laparoscopic chromotubation. Laparoscopy enables to look at the external condition of uterus, tubes and pelvis and at the same time the patency of tubes can be seen . Methylene Blue/Indigo carmine dye is injected through a cannula attached to the cervix to visualize the free spill or absence of spill. It can also demonstrate peritubal adhesions and unsuspected endometriosis. The greatest advantage of laparoscopy is therapeutic procedure can be performed if adhesions or fimbrial block is recognized in one sitting. Also know : Other questions frequently asked on Tuba! patency tests. - Time for performing Tuba! patency tests : Day 6 - Day 11 of cycledeg - No anesthesia is required for tube testingdeg - Obsolete method of testing Tubal patency - Rubins test / Insufflation testdeg - Contraindiactions of tubal Patency tests. HSG should not be performed during and immediately before menstruation and in the post ovulatory period. HSG should not be performed after curettage. In recently active salphingttis. In suspected Tuberculosis of Genital Tract. In infection of the lower Genital tract. Sonosalpingography is a method of assessing Tube Patency. It was popularized by G.Allahabadia and is also called as Sion test : Under USG guidance, a slow and deliberate injection of 200 ml of physiological saline into uterine cavity is accomplished a foley's catheter, the inflated bulb of which lies above the internal os and prevents leakage. It is possible to visualize the flow of saline along the tube and observe it is coming out as a shower at fimbrial end. USG shows the presence of free fluid in pouch of Douglas if tubes are patent. Falloscopy -The interstitial end of the fallopian tubes is visualised by falloscopy. Salpingoscopy-Studies the mucosa of the fallopian tube and helps in deciding whether IVF or tubal microsurgery should be performed.